Conduct disorder in a child manifests with
1. Disregard for right of others
2. Doesn't care for authority
3. Backward in studies
4. All

Correct answer: 4. All

Explanation: A i.e. Disregard for rights of others; B i.e. Doesn't care for authority; C i.e. Backward in studies C.D. is characterized by a persistent & significant pattern of conduct in which the basic rights of others are violated or rules of society are not followedQ. Clinical features include: Frequent lying Stealing or robberyQ Running away from home or school Physical violence like rape, fire setting, assaults or breaking in, use of weapons. Cruelty towards other people & animal Destruction of property Serious violation of rulesQ Backward in studiesQ May 1/ t - drug abuse & dependenceQ, unwanted pregnancies, criminal record, suicidal or homicidal behaviour, STDs.